M/C agent responsible for Ca cervix is :
1. HPV 16
2. HPV 18
3. HPV 31
4. HPV 36

Correct answer: 1. HPV 16

Explanation: Ans. is a i.e. HPV 16 It is now established that HPV plays a major role in cervical carcinogenesis. Among the various genotypes (more than 100) the Genotype of HPV which is : Most commonly associated with squamous cell carcinoma cervix HPV 16 Most common genotype associated with adenocarcinoma of cervix HPV 18 Overall MC genotype associated with invasive carcinoma, CIN II and CIN III HPV 16 But HPV 16 is not very specific as it is seen in 16% of women with low grade lesion and 14% women with normal cytology so Most specific genotype of HPV for invasive tumor . HPV 18 Extra Edge : Tests for detection of HPV : PCR Hybrid capture technique : latest technique which employs RNA probes for detection of HPV.